A 45-year-old female complains of lower abdominal pain and vaginal discharge. On examination, there is cervicitis along with a mucopurulent cervical discharge. The Gram smear of the discharge shows presence of abundant pus cells, but no bacteria.The best approach to isolate the possible causative agent would be :
1. Culture on chocholate agar supplemented with hemin
2. Culture on McCoy cells
3. Culture on a bilayer human blood agar
4. Culture on Vero cell lines

Correct answer: 2. Culture on McCoy cells

Explanation: Chlamydial infection Presenting symptoms: dysuria,dysparenuia,postcoital bleeding,intermenstrual bleeding Findings: mucopurulent cervical discharge,cervical edema,cervical ectopy,cervical friability McCoy cell monolayers are used for tissue culture due to its 100% specificity. It takes 3-7 days to obtain result. D.C.DUTTA'S TEXTBOOK OF GYNAECOLOGY,Pg no;150,6th edition